In WHO 'Road to health card' (growth chart) the upper reference line represents:
1. 80th percentile for boys
2. 50th percentile for girls
3. 80th percentile for girls
4. 50th percentile for boys

Correct answer: 4. 50th percentile for boys

Explanation: Ans. D. 50th percentile for boys. (Ref. Park's Textbook of PSM 22nd/pg. 506)Discussion:WHO growth chart# WHO growth chart is having 2 reference curves.# The upper reference curve represent the median (50th percentile) for boys and the lower reference curve the 3rd percentile for girls.# The space between the two growth curves is called as road to health. This will include the zone of normality.# The Indian growth chart is having 4 reference curves.# The topmost curve corresponds to 80 % of the median of the WHO reference standard.# The lower lines represent 70 %, 60 %, 50 % of that standard.